Placentamegaly is diagnosed on USG if size of placenta is more near:
1. 25 mm
2. 30 mm
3. 35 mm
4. 40 mm

Correct answer: 4. 40 mm

Explanation: Ans is d, i.e. 40 mmPlacental thickness increases by 1 mm/week. If placental thickness is more than 40 mm at term, it is called as placentomegaly